Treatment of choice for phobias is -
1. Psychotherapy
2. Behavior therapy
3. Sedatives
4. ECT

Correct answer: 2. Behavior therapy

Explanation: Ans. is 'b' i.e., Behaviour therapy Treatment of Phobias1. Behavior therapy: - The most studied and most effective treatment for phobia is behavior therapy. A variety of behavior therapies are used : -i) Systemic desensitization: - The most commonly used behavior therapy for phobias is systemic desensitization.ii) Exposure and response prevention: - 2nd most commonly used technique.iii) Relaxation techniques.iv) Flooding2. Drug therapy: - Drugs used for phobias are : -A. Antianxiety (Benzodiazepins especially Alprazolam);B. Antidepressants:- TCAs (Imipramine); SSRIs (Fluoxetine); MAO inhibitors; and b-blockers.* Amongst these antidepressants (SSRIs or TCA) is the drug of choice with BZDs 2nd choice.3. Psychotherapy: - Psychoanalysis and dynamically oriented psychotherapy (psychodynamic therapy).4. Other Therapeutic modalities: - Hypnosis, Supportive therapy, and family therapy